Which of the following statements best describes 'Background Radiation'?
1. Radiation in the background of nuclear reactors
2. Radiation in the background during radiological investigations
3. Radiation present constantly from natural sources
4. Radiation from nuclear fall out

Correct answer: 3. Radiation present constantly from natural sources

Explanation: Background radiation refers to those coming from the environment of natural radioactivity at the eahs surface and the those from direct cosmic radiation that arrives at the eahs surface. Ref: Radiation Biophysics By Edward L. Alpen, Page 432; The Biological Basis of Nursing : Cancer By William T. Blows, Page 54, 56